A lady presented with reddish eye and watering over left eye with a shallow anterior chamber. What is the next best investigation?
1. Tonometry
2. Cup disc ratio
3. Gonioscopy
4. Ophthalmoscopy

Correct answer: 1. Tonometry

Explanation: Ans. (a) TonometryShallow AC with redness- points towards PACG in a female. In acute stages, IOP is markedly raised - Do tonometry followed by gonioscopy & fundus examination.